As per WHO, leprosy is a public health problem if prevalence is -
1. 0.10%
2. 0.01%
3. 0.50%
4. 1%

Correct answer: 2. 0.01%

Explanation: As per WHO , leprosy is a public health problem if prevalence is >0.01%. Reference:Park's textbook of preventive and social medicine,K.Park,23rd edition,page no:315.